The features of uterine contraction in spastic lower segment are all except:
1. Presence of fundal dominance
2. There may be reversed polarity
3. Inadequate relaxation in between contractions
4. Basal tonus is usually raised above the critical level of 20 mm Hg-

Correct answer: 1. Presence of fundal dominance

Explanation: Spastic lower segment: It is a variant of hypertonic state:

Fundal dominance is lacking and often there is reversed polarity
The pacemakers do not work in rhythm
The lower segment contractions are stronger
Inadequate relaxation in between contractions
Basal tone is raised above the critical level of 20 mm Hg.

Effect on the fetus: Fetal distress appears early due to placental insufficiency caused by inadequate relaxation of the uterus.
Management: There is no place of oxytocin augmentation with this abnormality. Cesarean section is done in majority of cases. Adequate pain relief or sedation is helfpul.